Cisatracurium, pure CIS isomer of atracurium all true except:-
1. Is metabolized primarily by Hoffman degradation
2. Is cardiovascular stable
3. Produces more laudanosine than an equipotent dose of atracurium
4. Has onset & duration similar to atracurium

Correct answer: 3. Produces more laudanosine than an equipotent dose of atracurium

Explanation: Atracurium molecule is mixture of 10 stereoisomers in which Cis isomer is only 15 %. A total Cis isomer was seperated and new drug was prepared which is Cisatracurium. Cisatracurium a pure CIS isomer of atracurium produces no /minimal histamine release and is more potent than atracurium. Thus it is given in less dose and causes less by product laudanosine production at equipotent dose.